The scientist who discovered the transmission of malaria by anopheline mosquito:
1. Laveran
2. Paul Muller
3. Ronald Ross
4. Pampana

Correct answer: 3. Ronald Ross

Explanation: Ans. c. Ronald Ross